Main disadvantage of cocaine as local anaesthetic was:
1. Causes dry eyes
2. Follicular conjunctivitis
3. Intraocular penetration
4. Epithelial erosions

Correct answer: 4. Epithelial erosions

Explanation: Ans. Epithelial erosions